A 5 year old male child has multiple hyperprigmented macules over the trunk. On rubbing the lesion with the rounded end of a pen, he developed urticarial wheal, confined to the border of the lesion. The most likely diagnosis is
1. Fixed drug eruption
2. Lichen planes
3. Urticaria pigmentosa
4. Urticarial vasculitis

Correct answer: 3. Urticaria pigmentosa

Explanation: Darriers sign : urticarial wheal produced in a lesion after it is firmly rubbed with a finger or rounded end of a pen, the wheal is strictly confined to the borders of the lesion. Seen in urticarial pigmentosa, and rarely with cutaneous lymphoma or histiocytosiS FITZPATRICK TEXTBOOK OF DERMATOLOGY , PAGE 12.